The most important criterion of success in a pulpotomy in a young permanent central incisor would be whether.
1. The uncompleted root end would complete its development
2. The root end remained open if not fully developed when treatment was started
3. A bridge of secondary dentin, became radiographically demonstrable
4. Pulp stones were in evidence several months after treatment

Correct answer: 1. The uncompleted root end would complete its development